Most common tumor of heart is?
1. Leiomyosarcoma
2. Rhabdomyosarcoma
3. Myxoma
4. Fibroma

Correct answer: 3. Myxoma

Explanation: Ans. is 'c' i.e., Myxoma o The most frequent cardiac tumor for all age groups is - Metastasis.o The most frequent primary cardiac tumor is - Myxoma.o The most frequent primary cardiac tumor in infants and children is - Rhabdomyoma